In metabolism, all of the following reactions occur in phase one except?
1. Oxidation
2. Reduction
3. Conjugation
4. Deamination

Correct answer: 3. Conjugation

Explanation: Ans. C. ConjugationPhase-1 (Non-synthetic): (oxidation/reduction/hydroiysis/ cyclization/ Decyclization)a. Convert lipophilic compounds to more polar compounds, by introducing or unmasking a functional group such as OH,-NH2 .b. OXIDATION is the most common pathway in Phase-1 reactionc. Microsomal drug oxidations require CYP450, P450 reductase, NADPHQ & oxygend. REMEMBER oxidation includes dealkylation, deamination and hydroxylation